Target health indicators of 12th five year plan are all except -
1. Reduce MMR to 100
2. Reduce TFR to 2.1
3. Reduce IMR to 20
4. Reduce prevalence of leprosy to < 1/10000

Correct answer: 3. Reduce IMR to 20

Explanation: Ans. is 'c' i.e., Reduce IMR to 20 The twelfth plan will work towards national health outcome goals with following target health indicators :?Reduction of infant mortality rate to 25.Reduction of maternal mortality rate to 100.Reduction of total fertility rate to 2.1.Prevention and reduction of under-nutrition in children under 3 years to half of NFHS-3 (2005-06) level.Prevention and reduction of anaemia among women aged 15-19 years to 28%.Raising child sex ratio in 0-6 years age group from 914 to 950.Reduction of poor household's out-of-pocket expenditure.viii)Prevention and reduction of burden of communicable and non-communicable diseases and injuries.